Anencephaly is best diagnosed at 12 weeks by :
1. Serum alpha fetoprotein
2. Ultrasonogram
3. Radiography
4. Amniography

Correct answer: 2. Ultrasonogram

Explanation: Ultrasonogram